Defect of glanzmann's thrombosthenia is ?
1. Gp1Ib-IlIa
2. GpIIIa-I lb
3. GpIla-Illb
4. Gpfilb-I la

Correct answer: 1. Gp1Ib-IlIa

Explanation: Ans. is 'a' i.e., GpI1b-IlIa